During pregnancy there is reduced risk of which of the following condition?
1. Relapse of multiple sclerosis
2. Bell's palsy
3. Meningeoma
4. Chorea

Correct answer: 1. Relapse of multiple sclerosis

Explanation: Ans. A. Relapse of multiple sclerosisThe onset of a new movement disorder during pregnancy suggests chorea gravidarum, a variant of Sydenham's chorea associated with rheumatic fever and streptococcal infection; the chorea may recur with subsequent pregnancies. Patients with preexisting multiple sclerosis experience a gradual decrease in the risk of relapses as pregnancy progresses and, conversely, an increase in attack risk during the postpartum period. Beta interferons should not be administered to pregnant MS patients, but moderate or severe relapses can be safely treated with pulse glucocorticoid therapy. Finally, certain tumors, particularly pituitary adenoma and meningioma, may manifest during pregnancy because of accelerated growth, possibly driven by hormonal factors.Peripheral nerve disorders associated with pregnancy include Bell's palsy (idiopathic facial paralysis), which is approximately threefold more likely to occur during the third trimester and immediate postpartum period than in the general population.